Bleeding spots are seen on removal of plaques in?
1. Psoriasis
2. Lichen planus
3. Lichen striatus
4. SLE

Correct answer: 1. Psoriasis

Explanation: ANSWER: (A) PsoriasisREF: Rooks 7th ed p. 35.1This is characteristic auspitz sign seen in psoriasis in which removal of scales lead to pin point bleeding spots